Shivering is controlled by:
1. Dorsomedial nucleus
2. Posterior hypothalamus
3. Perifornical nucleus
4. Lateral hypothalamic area

Correct answer: 2. Posterior hypothalamus

Explanation: Ans. B i.e. Posterior hypothalamusShivering/ShudderingIt is a bodily function in response to early hypothermia in warm-blooded animals.When the core body temperature drops, the shivering reflex is triggered to maintain homeostasis.Muscle groups around the vital organs begin to shake in small movements in an attempt to create warmth by expending energy.Shivering can also be a response to a fever, as a person may feel cold, though their core temperature is already elevated.Located in the posterior hypothalamus near the wall of the third ventricle is an area called the primary motor center for shivering.This area is normally inhibited by signals from the heat center in the anterior hypothalamic-preoptic area but is excited by cold signals from the skin and spinal cord.